During endotracheal intubation, unilateral breath sounds, no air heard entering the stomach and no gastric distension is suggestive of entry of the endotracheal tube into -
1. Right main bronchus
2. Oesophagus
3. Mid-trachea
4. Left main bronchus

Correct answer: 1. Right main bronchus

Explanation: Ans. is 'a' i.e., Right main bronchus